Not true about apoptosis ?
1. Increase in lysosomal enzyme
2. Increase in caspases
3. Phosphatidyl serine has important role
4. Internucleosomal cleavage of nucleus

Correct answer: 1. Increase in lysosomal enzyme

Explanation: Ans. is 'a' i.e., Increase in lysosomal enzyme Apoptosis Caspases are central to the pathogenesis of apoptosis. The lysis in apoptosis is caused due to action of caspase. Mitochondrias are the most important organelles involved in initiation and regulation of apoptosis. Hallmark of apoptosis is permeability of the mitochondrial membrane. Normally phosphatidyl serine is located on the inner cytosolic surface of plasma membrane In apoptotic cell this phosphatidyl serine is translocated to the outer (extracellular) surface of plasma membrane. Lysosome and other organelles remain intact.